In partial denture construction, surveyor should be used
1. To determine the path of insertion
2. To determine design
3. In conjunction with mouth preparation
4. All of the above

Correct answer: 4. All of the above